Post transplant lymphoma is most associated with -
1. EBV
2. CMV
3. Herpes simplex
4. HHV-6

Correct answer: 1. EBV